All ofthe following statements are true, except -
1. Population of women between 15-45 years is 22%
2. Eligible couples are 150/1000 population
3. 20% eligible couples are in 15-24 year age group
4. Every year 1 million eligible couples are added to the population

Correct answer: 4. Every year 1 million eligible couples are added to the population

Explanation: Eligible couples An "eligible couple" refers to a currently married couple wherein the wife is in the reproductive age, which is generally assumed to lie between the ages of 15 and 45. There will be at least 150 to 180 such couples per 1000 population in India. These couples are in need of family planning services. About 20 per cent of eligible couples are found in the age group 15-24 years . On an average 2.5 million couples are joining the reproductive group every year. The "Eligible Couple Register" is a basic document for organizing family planning work. It is regularly updated by each functionary of the family planning programme for the area falling within his jurisdiction Ref: Park 25th edition Pgno : 543